The mechanism of injury of transverse fracture of medial malleolus results due to
1. Abduction injury
2. Adduction injury
3. Rotation injury
4. Direct injury

Correct answer: 1. Abduction injury

Explanation: A i.e. Abduction Transverse fracture of medial malleolus occurs in pronation - abduction injuryQ i.e. the position of foot at the time of injury is pronated and the direction of force upon talus is - towards abduction. If malleolus is pushed off it usually fractures obliquely; if it is pulled off, it fractures transversely. - So in adduction (supination) injury : transverse avulsion fracture of fibula and vertical (oblique) fracture of medial malleolus occurs. In abduction (pronation) injury : transverse fracture of medial malleolusQ and oblique fracture of fibula occure. In adduction injury the foot is supinated so k/a supination - adduction injury; and in abduction injury the foot is pronated so k/a pronation abduction injury.